All are true about anemia of chronic diseases, except
1. Decreased serum iron
2. Decreased ferritin
3. Decreased TIBC
4. Increased bone marrow iron

Correct answer: 2. Decreased ferritin

Explanation: Ref Harrison 19 th ed pg 628 AI is normo- cytic and normochromic. The iron values usually make the differential diagnosis clear, as the ferritin level is normal or increased and the percent transferrin saturation and TIBC are typically below normal.